True about measles vaccine ?
1. Killed vaccine
2. In epidemic vaccine is given at 9 months of age
3. Can cause TSS
4. Duration of protection is 5-10 years

Correct answer: 3. Can cause TSS

Explanation: Ans. is 'c' i.e., Can cause TSS Measles vaccine : Type: Live attenuated, lyophilized (Freeze dried) vaccine Strains used: Edmonston Zagreb Strain (Most Common) Schwartz Strain Moraten Strain Dose: 0.5 ml Route: Subcutaneous Site: Antero-lateral aspect of thigh (middle one-third) Age of administration in National Immunisation schedule (India): 9 months (can be lowered to 6-9 months in epidemics & malnutrition) Diluent for Reconstitution: Distilled Water or sterile water Use within 1 hr after reconstitution with diluent Measles (& MMR) vaccine can lead to Toxic Shock Syndrome Measles vaccine is contraindicated in pregnancy Cold chain Temperature for storage: +2 to +8 degree C Protective efficacy: > 95% Duration of Protection: Life long IP of vaccine induced measles: 7 days Measles immunoglobulin is also available for post exposure prophylaxis. The best age for measles vaccination is 9 months. The age can be lowered to 6 months if there is measles outbreak in the community. For infants immunized between 6 months and 9 months of age, a second dose should be administered as soon as possible after the child reaches the age of 9 months provided that at least 4 weeks have elapsed since the last dose.